Which of the following is not included in Jone's Major Criteria
1. Pancarditis
2. Chorea
3. Subcutancous nodule
4. High ESR

Correct answer: 4. High ESR

Explanation: Answer is D (High ESR) Elevated (High) ESR is a minor criterion and not a major criterion (Jones criteria) World Health Criteria for the diagnosis of Rheumatic fever and rheumatic heart disease Major manifestations * Carditis * Polyarthritis * Chorea * Erythema marginatum * Subcutaneous nodules Minor manifestations * Clinical: fever, polyarthralgia * Laboratory: elevated erythrocyte sedimentation rate or leukocyte count * Electrocardiogram: prolonged P-R interval Revised Jones criteria do not include elevated leucocyte count as a laboratory minor manifestation (but do include elevated C-reactive protein) Supporting evidence of a preceding streptococcal infection within the last 45 days * Elevated or rising anti-streptolysin 0 or other streptococcal antibody, or * A positive throat culture, or * Rapid antigen test for group A streptococcus, or * Recent scarlet fever ( a )1992 Revised Jones criteria do not include recent scarlet fever as supporting evidence of a recent streptococcal infection Diagnostic Categories Criteria Primary episode of rheumatic fever Two major or one major two minor manifestations plus evidence of preceding group A streptococcal infection Recurrent attack of rheumatic fever in a patient without established rheumatic heart disease Two major or one minor manifestations plus evidence of preceding group A streptococcal infection Recurrent attack of rheumatic fever in a patient with established rheumatic heart disease Two minor manifestations plus evidence of preceding group A streptococcal infection